A neonate diagnosed of having pentalogy of Fallot. She may have the following lesions:
1. TOF + PDA
2. TOF + ASD
3. TOF + COA
4. TOF + Polysplenia

Correct answer: 2. TOF + ASD

Explanation: Patients with tetralogy of Fallot have a VSD, RV infundibular stenosis, RVH, and a dilated aorta (in about 50% of patients it overrides the septum). If there is an associated ASD, the complex is referred to as pentalogy of Fallot. Ref: Bashore T.M., Granger C.B., Hranitzky P., Patel M.R. (2013). Chapter 10. Heart Disease. In M.A. Papadakis, S.J. McPhee, M.W. Rabow (Eds), CURRENT Medical Diagnosis & Treatment 2013.